An antihelmenthic drug that is effective against blood fluke, liver fluke, lung fluke and cysticercus is:
1. Albendazole
2. Praziquantal
3. Ivermectin
4. Thiabendazole

Correct answer: 2. Praziquantal

Explanation: - Drug of choice for treatment of flukes (except liver fluke) and tapeworms (except dog tapeworm) is praziquantal. - Drug of choice for treatment of liver fluke is triclabendazole. - Drug of choice for dog tapeworm (Echinococcus) is albendazole - Drug of choice for all nematodes (see exceptions below) is albendazole - Drug of choice for treatment of filariasis is diethylcarbamezine. - Drug of choice for treatment of onchocerca and strongyloides is ivermectin.